The final polish of a cast gold alloy to achieve a smooth polished surface is done by
1. Pickling
2. electropolishing
3. sand blasting
4. rouge

Correct answer: 4. rouge